Administrative unit of ICDS project in rural area is
1. PHC
2. Community development block
3. Zilla parishad
4. Gram panchayat

Correct answer: 2. Community development block

Explanation: The administrative unit of an ICDS project is the community development block in rural areas, the tribal development block in tribal areas and a group of slums in urban areas.Park 23e pg: 592